A pregnant female at 35 wks of pregnancy is diagnosed with SLE. Drugs that can be used to treat are all, EXCEPT:
1. Corticosteroids
2. Azathioprine
3. Methotrexate
4. Hydroxychloroquine

Correct answer: 3. Methotrexate

Explanation: Mycophenolate mofetil and methotrexate should be avoided in pregnancy. Antimalarials help control skin disease. Although these agents cross the placenta, hydroxychloroquine has not been associated with congenital malformations. Severe disease is managed with corticosteroids such as prednisone. Immunosuppressive agents such as azathioprine are beneficial in controlling active disease. Ref: Cunningham F.G., Leveno K.J., Bloom S.L., Hauth J.C., Rouse D.J., Spong C.Y. (2010). Chapter 54. Connective-Tissue Disorders. In F.G. Cunningham, K.J. Leveno, S.L. Bloom, J.C. Hauth, D.J. Rouse, C.Y. Spong (Eds), Williams Obstetrics, 23e.